Injury to one of the following arteries results in extradural hematoma
1. Middle meningeal artery
2. Facial artery
3. Temporal artery
4. Anterior cerebral artery

Correct answer: 1. Middle meningeal artery